IMN, true is all except -
1. Caused by EBV
2. Also called kissing disease
3. Diagnosed by Paul Bunnel test
4. RNA virus

Correct answer: 4. RNA virus

Explanation: EB virus which is classified under gammaherpesvirus group of hepesviridae family is double stranded DNA virus. REF:ANATHANARAYAN AND PANIKER'S TEXTBOOK OF MICROBIOLOGY 8TH EDITION PAGE NO:467